Duval procedure in case of chronic pancreatitis involves
1. Distal resection of tail of pancreas with end to end pancteaticojejunostomy
2. Distal resection of tail of pancreas with longitudinal opening of duct and pancteaticojejunostomy
3. Duodenum preserving pancreatic head resection
4. Local section of pancreatic head with longitudinal pancteaticojejunostomy

Correct answer: 1. Distal resection of tail of pancreas with end to end pancteaticojejunostomy

Explanation: Surgical procedures in chronic pancreatitis Drainage procedure Duval procedure : Distal pancreatictomy with Roux-en-Y pancteaticojejunostomy (caudal PJ) Ref: Sabiston 20th edition Pgno : 1535